In DIC which is true:
1. Increased clotting time
2. Increase in level of fibrin degradation products
3. Bleeding from all mucous membranes
4. All of the above

Correct answer: 4. All of the above

Explanation: Ans: dRef: Harrison, 16thed, p. 683-684